True statement regarding Atrioventricular block with atrial tachycardia is :
1. Seen in WPW syndrome
2. Is a complication of pacemaker
3. Can occur in normal person occasionally
4. Seen in Digitalis toxicity with K+ depletion

Correct answer: 4. Seen in Digitalis toxicity with K+ depletion

Explanation: Answer is D (Seen in digitalis toxicity with K+ depletion) Nonparoxysmal atrial tachycardia with variable AV block is characteristic of digitalis intoxication. - Depletion of potassium stores is one of the most common precipitating cause of digitalis intoxication. Presence of potassium depletion in association with digitalis is thus likely to result in manifestations of digitalis toxicity.